An adult whose both lower limbs are charred along with genitalia has.......... burns
1. 18%
2. 19%
3. 36%
4. 37%

Correct answer: 4. 37%

Explanation: .both legs+genitalia = 2 x 18 + 1 = 37 each upper extremity 9% of TBSA each lower extremity 18% of TBSA anterior or posterior trunk 18% of TBSA head and neck for 9% perineum for 1% Ref. SRB 5th ed.pg 129